A highway truck driver has profuse rhinorrhea and sneezing. Which of the following drugs would you prescribe him?
1. Cetrizine
2. Pheniramine
3. Promethazine
4. Dimenhydrinate

Correct answer: 1. Cetrizine

Explanation: As the patient in the question is a truck driver, antihistamine which is best suitable for him is cetrizine. Cetirizine is a second generation antihistamine with least sedation. Promethazine and Dimenhydrinate are highly sedative and Pheniramine is moderately sedative preparations of H1 antihistamine which is not preferred for a truck driver as it causes sedation while driving. Ref: Essentials of Medical Pharmacology By K D Tripathi, 5th Edition, Pages 141-2